Screening is useful for
1. Disease which is an important health problem
2. Disease which can be diagnosed at a latent stage
3. Disease where early diagnosis and treatment favorably alters the natural history of the disease in a significant proportion
4. All of the above

Correct answer: 4. All of the above

Explanation: Screening is useful for a disease fulfilling the following criteria There should be a recognizable latent stage. Disease where early diagnosis and treatment favourably alters the natural history of the disease in a significant proportion. Disease which is an important health problem. The expected benefit of early detection exceeds the risks and costs